Corneal sensation is lost in-
1. Herpes simplex
2. Conjunctivitis
3. Fungal infection
4. Trachoma

Correct answer: 1. Herpes simplex

Explanation: Corneal sensations are diminshed in herpes simplex keratitis,more specifically in Disciform keratitis caused by herpes simplex virus. Reference:Comprehensive ophthalmology,AK Khurana,6th edition,page no.109